Clomiphene citrate is :
1. Anti-androgen
2. Synthetic steroid
3. Anti estrogen
4. GnRH analogue

Correct answer: 3. Anti estrogen

Explanation: Ans. is c i.e. Antiestrogen Clomiphene is an antiestrogen. Category Drug Antiestrogen Clomiphene, Tamoxifen Antiprogesterone Mifepristone Testosterone (Androgen derivative) Danazol, Gestrinone Antiandrogen Cyproterone acetate, Spironolactone, Flutamide,Finasteride